A new born presented with bloated abdomen shortly after birth with passing of less meconium. A full-thickness biopsy of the rectum was carried out. Which one of the following rectal biopsy findings is most likely to be present?
1. Fibrosis of submucosa
2. Hyalinisation of the muscular coat
3. Thickened Muscularis propria
4. Lack of ganglion cells

Correct answer: 4. Lack of ganglion cells

Explanation: Delayed passage of less meconium, together with abdominal distension after birth suggests the diagnosis of Hirschprung's disease. Confirmation of diagnosis is based on lack of ganglion cells (aganglionosis), in the myentric plexus together with hypertrophic nerve fibres in the plexus. Ref: Bailey and Love's Short Practice of Surgery, 24th Edition, Page 1154